Posterior epistaxis occurs from:
1. woodruff's plexus
2. Kiesslebach's plexus
3. Atherosclerosis
4. Littles area

Correct answer: 1. woodruff's plexus

Explanation: Woodruff's Plexus - Site of posterior epistaxis in adults. Plexus of veins situated inferior to posterior end of inferior turbinate Ref: Dhingra 7e pg 197.